All the following are the features of C7 except
1. Long spinous process
2. Spine is long, thick and nearly horizontal
3. Spine is bifid
4. Anterior tubercle is absent

Correct answer: 3. Spine is bifid

Explanation: SEVENTH CERVICAL VEEBRAIt is also known as the vertebra prominens because of its long spinous process, the tip of which can be felt through the skin at the lower end of the nuchal furrow. Its spine is thick, long and nearly horizontal. It is not bifid but ends in a tubercle.The transverse processes are comparatively large in size; the posterior root is larger than the anterior. The anterior tubercle is absent. The foramen transversarium is relatively small, sometimes double, or may be entirely absent.Attachments 1.The tip of the spine provides attachment to the ligamentum nuchae, the trapezius, the rhomboideus minor, the serratus posterior superior, the splenius capias, the semispinalis thoracis, the spinalis ceruicis, the interspinales, and the multifidus.2.Transverse process. The foramen transversarium usually transmits only an accessory vertebral vein. The posterior tubercle provides attachment to the suprapleural membrane. The lower border provides attachment to the Zeuatorcostarum.Reference: Chourasia; 6th edition; 53rd page